Hoffbauer's cells are present in
1. Pituitary gland
2. Parathyroid
3. Placenta
4. Pineal gland

Correct answer: 3. Placenta